Frequency of renal involvement in Henoch Schonlein purpura is?
1. 1-5%
2. 5-10%
3. 10-50%
4. 50-70%

Correct answer: 3. 10-50%

Explanation: c. 10-50%(Ref: Nelson's 20/e p 1216-1217, Ghai 8/e p 632-633)Renal involvement in HSP:It occurs in up to 50% of children with HSPManifests as microscopic hematuria, proteinuria, hypertension, frank nephritis, nephrotic syndrome, and acute or chronic renal failure; Progression to end-stage renal disease is uncommon in children (1-2%)